According to Ellis and Deway classification, displacement of tooth without fracture if crown or root is:
1. Class 6
2. Class 7
3. Class 8
4. None

Correct answer: 2. Class 7